Mercury will affect which part of kidneys:
1. PCT
2. DCT
3. Collecting duct
4. Loop of Henle

Correct answer: 1. PCT

Explanation: Ans. PCT